Intrinsic factor is required for absorption of ?
1. Folic acid
2. Vitamin B12
3. Vitamin B
4. Vitamin B2

Correct answer: 2. Vitamin B12

Explanation: Ans. is 'b' i.e., Vitamin B12